An anxiolytic benzodiazepine which is also antidepressant:
1. Lorazepam
2. Oxazepam
3. Alprazolam
4. Chlordiazepoxid

Correct answer: 3. Alprazolam

Explanation: Ans. C: Alprazolam Alprazolam is approved for the short-term treatment of panic disorder, with or without agoraphobia. Alprazolam is very effective in the short-term symptomatic relief of moderate to severe anxiety, essential tremor, and panic attacks. Alprazolam is indicated for the management of anxiety disorders or the short-term relief of symptoms of anxiety. Alprazolam is recommended for the short-term treatment of severe acute anxiety. Alprazolam is sometimes prescribed for anxiety with associated depression. The antidepressant effects of alprazolam may be due to its effects on beta-adrenergic receptors. Other benzodiazepines are not known to have antidepressant activity.